Daily per capita water consumption is -
1. 50-100 litres
2. 100-150 litres
3. 150-200 litres
4. 200-2501itres

Correct answer: 3. 150-200 litres

Explanation: Ans. is 'c' i.e., 150-200 litres Water o The basic physiological requirements for drinking water have been estimated at about 2 litres per head per day. o A daily supply of 150-200 litres per capita is considered as an adequate supply to meet the needs for all urban domestic purposes. o In India, 40 litres of water supply per capita per day was the set target to be achieved in rural areas. o Safe and wholesome water: has been defined as water that is Free from pathogenic agents Free from harmful chemical substances Pleasant to taste (free from colour and odour) Usable for domestic purposes o Water is said to be 'polluted' or contaminated' if it does not fulfill above criteria o Safe yield of water: Yield that is adequate for 95% of the year Following information has also been added in 22"1e of Park Population with access to safe water in India -4 92% o Population with access to adequate sanitation in India --) 34%